Alzheimer's disease is treated by:
1. Neostigmine
2. Rivastigmine
3. Trihexyphenidyl
4. Benztropine

Correct answer: 2. Rivastigmine

Explanation: Ans. B. Rivastigminea. The mainstay of therapy for patients with Alzheimer disease (AD) is the use of centrally acting cholinesterase inhibitors to attempt to compensate for the depletion of acetylcholine (ACh) in the cerebral cortex and hippocampusb. Rivastigmine, Galantamine, Donepezil are centrally acting ChE inhibitors used for Alzheimer's disease. Donepezil is long acting and can be used once daily. Rivastigmine is also available as a transdermal patchc. Memantine, an NMDA receptor antagonist is also used for Alzheimer's.